Which of the following is Sensitivity?
1. TN/ TN + FP
2. TN / TN + FN
3. TP/ TP + FN
4. TP/ TP + FP

Correct answer: 3. TP/ TP + FN

Explanation: Criteria Numerator Denominator Sensitivity True positive (a) True positive + False negative (a+c) Specificity True negative (d) True negative + False positive (b+d) PPV True positive (a) True positive + False positive (a+b) NPV True negative (d) True negative + False negative (c+d) % False positives False positives (b) True negative + False positive (b+d) % False negatives False negatives (c) True positive + False negative (a+c) Sensitivity Ability of test to identify correctly all those who have the disease, that is "true positive". Specificity Ability of test to identify correctly all those who don't have the disease, that is "true negative" Positive predictive value Probability that subjects with a positive screening test truly have the disease. Negative predictive value Probability that subjects with a negative screening test truly don't have the disease.